In X-ray (skiagram) of lower l/3rd of the both bones forearm shows
1. Styloid process of radius and ulna in same level
2. Styloid process of radius lies distal to the styloid process of ulna
3. Styloid process of ulna lies distal to radius styloid process
4. Styloid process of radius and ulna lies proximally

Correct answer: 2. Styloid process of radius lies distal to the styloid process of ulna

Explanation: (Styloid process of radius lies distal to the ulnar styloid process) (21-BDC-l 4th)The radius commonly gets fractured about 2 cm above its lower end (Code's ), this is caused by a fall on the outstretched hand. The distal fragment is displaced upwards and backwards, and the radial styloid process comes to lie proximal to the ulnar styloid process (It normally lies distal to the ulnar to the ulnar styloid process)* The styloid process projects downwards from the posteromedial side of the lower end of the ulna. Posteriorly, between the head and the styloid process there is groove for the tendon of the extensor carpi ulnaris